Target fibres are characteristicaly seen in a muscle biopsy of-
1. Dermatomyositis
2. Motor neuron disease
3. Myaesthenia gravis
4. Drug induced myopathy

Correct answer: 2. Motor neuron disease

Explanation: Ans. is 'b' i.e., Motor neuron disease Target fibers During denervation atrophy there is cytoskeletal reorganization of some muscle cells, which results in a rounded zone of disorganized filaments in the center of the fiber (target fiber). o Amongst the given options only motor neuron disease can result in denervation of the muscle